Chemoprophy laxis with tetracycline is useful in which of the following ?
1. Cholera
2. Brucellosis
3. Meningitis
4. Leptospirosis

Correct answer: 1. Cholera

Explanation: Ans. is 'a' i.e., Cholera o Tetracycline is the drug of choice for chemoprophylaxis in cholera and plague.